Black dot ring worm is caused by ?
1. Microsporum
2. Trichophyton
3. Epidermophyton
4. Candida

Correct answer: 2. Trichophyton

Explanation: Ans. is 'b' i.e., Trichophyton . Black dot lesions are seen in Tinea capitis. . The hairs are broken at the level of the skin surface producing a picture of black dots in an area of alopecia. . T tonsurans is the chief cause of "black dot" tinea capitis.